For diagnosing chronic hypertension in pregnancy, hypertension is present prior to what gestational age
1. 8 weeks
2. 14 weeks
3. 20 weeks
4. 24 weeks

Correct answer: 3. 20 weeks

Explanation: Presence of hypertension prior to 20 weeks is suggestive of chronic hypertension in pregnancy.